Ibalizumab was approved by FDA in 2018 April for ( REPEAT)
1. HIV
2. TB
3. Leprosy
4. Malaria

Correct answer: 1. HIV

Explanation: Ibalizumab was approved for HIV in 2018 Ibalizumab belongs to a new class of HIV drugs called post-attachment inhibitors. Post-attachment inhibitors work by attaching to CD4 receptor on the surface of the immune cells. When ibalizumab attaches to the CD4 receptor, HIV cannot attach to, enter, or infect the cell.